Break bone fever is caused by:
1. Variola
2. Coxsackie
3. Dengue
4. Adenovirus

Correct answer: 3. Dengue

Explanation: Ans. is 'c' i.e., DengueThe dengue virus causes classic dengue or break bone fever characterized by fever, muscle and joint pain, lymph - adenopathy and rash. In addition, it also causes dengue hemorrhagic fever, i.e., a much more severe disease than classic dengue fever with a high fatality rate.